Distal colitis with respect to ulcerative colitis refers to:
1. Proctitis
2. Left sided colon distal to splenic flexure is only involved
3. Mid transverse colitis
4. None of the above

Correct answer: 2. Left sided colon distal to splenic flexure is only involved

Explanation: Distribution of ulcerative colitis: 1. Proctitis - involvement limited to the rectum 2. Distal colitis - Left-sided involvement limited to the colon distal to the splenic flexure 3. Pancolitis -Extensive involvement extends proximal to the splenic flexure, including pancolitis This classification known as the Montreal classification Ref: Journal of Crohn's and Colitis (2012) 6, 965-990.